All are ingredients of professional misconduct except
1. Association
2. Adultery
3. Advising
4. Advertising

Correct answer: 3. Advising

Explanation: Ingredients of professional misconduct Advertising Association Adultery Abortion Alcohol Addiction Ref: FORENSIC MEDICINE AND TOXICOLOGY Dr PC IGNATIUS THIRD EDITION PAGE 376